A female suffering from psychosis, taking phenothiazine's now complains of sudden onset of high grade fever, muscle rigidity and altered sensorium. The diagnosis is :
1. Malignant hyperthermia
2. Neuroleptic malignant syndrome
3. Tardive dyskinesia
4. Akathesia

Correct answer: 2. Neuroleptic malignant syndrome

Explanation: Ans. is 'b' Neuroleptic malignant syndrome History of intake of antipsychotic drugs and high grade fever, muscle rigidity, altered sensorium suggests Neurolept Malignant Syndrome.Neurolept Malignant SyndromeUsually occurs in patients who are extremely sensitive to extrapyramidal effects of antipsychotics.C/F:Marked muscle rigidity *High fever*Increase CPK*Autonomic instability*Severe extrapyramidal syndromes*TreatmentVigorous treatment with antiparkinson drugsDiazepamDantroline*Bromocriptine*